Disinfection of sputum is done by -a) Boilingb) Autoclavingc) Sunlightd) Burninge) Airing
1. acd
2. abd
3. abc
4. ab

Correct answer: 2. abd